A 30-year-old man presents to the emergency with complaints of muscle weakness, nausea, vomiting and fatigue. ECG showed tall peaked T waves, prolonged PR interval, wide QRS and absent P wave. Which of the following drugs is not used in management?
1. Beta-blockers
2. Sodium bicarbonate
3. Calcium gluconate
4. Insulin

Correct answer: 1. Beta-blockers

Explanation: Ans. a. Beta-blockers